Entamoeba histolytica belongs to:
1. Phylum Protozoa
2. Supergroup Amoebozoa
3. Subphylum Sarcomastigophora
4. Subphylum Sporozoa

Correct answer: 2. Supergroup Amoebozoa

Explanation: According to the new classification scheme, the eukaryotes have been classified into six clusters or "Supergroups", namely : Amoebozoa, Opisthokonta, Rhizaria, Archaeplastida, Chromalveolata and Excavata. The amoebae that parasitize the intestinal tracts of humans belong to four genera: Entamoeba, Endolimax, Iodamoeba and Blastocystis. They all belong to phylum Amoebozoa, subphylum Conosa, which contains organisms that move by means of cytoplasmic protrusion called PSEUDOPODIUM. Ref: Manual of Clinical Microbiology; ASM press